All of the following are contrast radiographs except:
1. Arthrography
2. Tomography
3. Sialography
4. Arthrotomography

Correct answer: 2. Tomography